Blood sampling in DNA profiling stored in
1. EDTA
2. Sodium fluoride
3. Sodium fluoride + Oxalates
4. Sodium chloride

Correct answer: 1. EDTA

Explanation: (ECTA) (41 7-Reddy 29th) (2.38, 7.7-Parikh 6th)DNA-FINGER PRINTINGIdentification of person by genetic analysis*** DNA is extacted from the nuclei of white blood cells or of spermatozones or of the hair follicles cells that cling to the roots of hair that have fallen, or been pulled.* DNA finger printing is based on variable number Tandem repeats (VNTR) and short tandom repeats (STR)*** The fragments are separated according to size by gel electrophorasis*** DNA finger printing was founded by A.Jeffrey** (1985)* Currently the most important tool used to make a paternity determination is a blood test called a human leucocyte antigen (HLA) test*** Sample of DNA testing must Contain nucleated cells ig leuocytes, seminal fluid, brain, bone marrow, muscle skin, dental pulp, hair with root sheeth cells, and dried stains.Liquid blood - in case of paternity, maternity disputes, biological relationship-2-5 ml- blood is collected in sterile leakproof preferably screw - capped tubes containing heparin or EDTA as anticoagulant. EDTA extracts metallic ions, prevents clotting inhibiting enzymes in blood or micro organisms which may breakdown DNA during storageThe sample should reach the laboratory within 24 to 48 hours* Visceral samples sends in Normal saline or 20% solution of dimethyl sulphoxide (DMSO) saturated with sodium chloride * Preservative used for toxicological specimen - saturated sodium chloride* Sodium fluoride is used for preservation of - Alcohol* In all cases of poisoning inclusive of carbolic acid but exclusive of other acids saturated solution of common salt should be used* In cases where poisoning by acids is suspected except(i) Carbolic acid (phenol) (ii) Alcohol (iii) Acetic acid (iv) phosphorus (v) paraldehyde, rectified sprit should be used*** Temporary modification or obliteration of ridge pattern may be seen in variety of other conditions such asIncomplets Ridge atrophyRidge alterationIncreased distance between Ridge with preserved pattern* Dermatitis* Eczema* Infantile paralysis* Celiac disease* Acanthosis nigricans* Rickets * Scleroderma* Acromegaly * Dry / atrophic skin * Permanent impairment ot the linger print pattern occours in - leprosy, electric injury and after exposure to radiation**IMPORTANT POINTS1. Uric crystal (Gouty tophus) would be submitted to the pathology laboratoryin Alcohol**2. Preservation of brain is NOT required in - Heavy metal poisoning** (Bone)3. Finger print Bureau was first established in India (Calcutta in 1897)4. In autopsy, preservative used for vitreous is - Fluoride fluoride is added to vitreous as preservative if alcohol estimation is required and also for analysis of cocaine, cyanide , and Co-poisoning5. Virological examination of autopsy specimen - sample freazed or preserved in 80 glycerol in buffered saline6. Brain finger printing - is a technique that measure recognition of familiar stimuli by measuring electrical responses to words, phrases or pictures that are presented on a computer screen.Brain finger printing uses electrical brain responses to detect the presence or absence of information stored in brain 7. Polygraph (lie-detector)- which measures emotion- based physiological signals such as heart rate, sweating and blood pressure1